Which of the following is a reference to Millards rule?
1. Standard rule regarding composition of local anaesthesia
2. Criteria for the surgery of cleft lip
3. Drug dosage depending on the child’s body weight
4. Rule regarding suture removal

Correct answer: 2. Criteria for the surgery of cleft lip

Explanation: The timing of the lip repair in infancy varies from first 48 hours of life to 6 months of age, depending on the surgeon’s judgement. Although there is always a debate as to when the surgery should be performed, most surgeons follow ‘Millard’s rule of 10.’ 10 weeks of age with 10 gm of Hb and 10 pounds of weight. The trend is shifting towards early repair. In fact, few centres like to repair the lip as early as 5-7 days post-birth. But in a country like India, where postoperative neonatal care is less than ideal, rule of safety should be applied. In should be safe to anaesthetize the child and to look after postoperatively.